All the cranial nerves provide innervations for the structures in the head and neck EXCEPT one, that
additionally supplies the thorax and abdomen
1. Glossopharyngeal
2. Spinal accessory
3. Vagus
4. Hypoglossal

Correct answer: 3. Vagus